In Scaphoid fracture, important views are all except:
1. AP
2. Lateral
3. Oblique
4. Cone

Correct answer: 4. Cone

Explanation: D i.e. Cone